Hemodialysis is useful in poisoning with all, EXCEPT:
1. Salicylates
2. Methyl alcohol
3. Diazepam
4. Barbiturates

Correct answer: 3. Diazepam

Explanation: C i.e. Diazepam